All are true regarding progressive supranuclear palsy except
1. Tremors
2. Unsteadiness
3. Dysarthria
4. Gaze palsy

Correct answer: 1. Tremors

Explanation: Progressive supranuclear palsy presents with symmetrical parkinsonism, cognitive impairement, early falls and bulbar involvement. The charecteristic eye movement disorder, with up and down gaze. There will be dysarthria, but not tremors. Reference : Harrison20th edition pg 2456